Pars planitis is ?
1. Anterior uveitis
2. Intermediate uveitis
3. Posterior uveitis
4. Pan uveitis

Correct answer: 2. Intermediate uveitis

Explanation: Ans. is b i.e., intermediate uveitis Uveitis Uveitis refers to the inflammation of uveal tissue. However, practically there is always some associated inflammation of the adjacent structures such as retina, vitreous, sclera and cornea. Due to close relationship between the anatomically distinct part of the uveal tract, the inflammatory process usually involve the uvea as a whole and are generally not limited to a single part. However, the uveitis is classified according to the part of uvea which is clinically more affected. For example, the term iritis is used when iris appears to be more affected. Anatomical classification of uveitis 1. Anterior uveitis. It is inflammation of the uveal tissue from iris up to pars plicata of ciliary body. It may be subdivided into - Iritis, in which inflammation predominantly affects the iris. Iridocyctitis in which iris and pars plicata part of ciliary body are equally involved, and Cyclitis, in which pars plicata part of ciliary body is predominatly affected. 2. Intermediate uveitis. It includes inflammation of the pars plana and peripheral part of the retina and underlying `choroid'. It is also called 'pars planitis'. 3. Posterior uveitis. It refers to inflammation of the choroid (choroiditis). Always there is associated inflamation of retina and hence the term `chorioretinitis' is used. 4. Panuveitis. It is inflammation of the whole uvea.